Colie's fracture which of the following tendons likely to rupture:
1. Flexor pollicis longus
2. Flexor policis brevis
3. Extensor policis longus
4. Extensor policis brevis

Correct answer: 3. Extensor policis longus

Explanation: Ans. (c) Extensor policis longusRef: Apley's 9th edJ 772-74# Colles fracture is a fracture of distal radius at corticocancellous junction with dorsal displacement of distal segment.# Mechanism of injury: Fall on outstretched hand with wrist in hyperextension.Complication of Colle's* Joint stiffness- most common* Malunion- 2nd most common* Sudecks osteodystrophy* Rupture of extensor pollicis longus tendon: Less common complication, usually seen after 4th week of injury.